Wallerian degeneration is seen in
1. part of nerve attached to cell body in a nerve that is cut peripheraly
2. cell body that is not attached to the nerve that is cut
3. part of nerve not attached to cell body
4. cell body that is attached to the nerve that is cut

Correct answer: 3. part of nerve not attached to cell body

Explanation: Ans is 'c' Part of nerve not attached to cell body When an injury occurs in an axon the axon and the myelin sheath distal to the point of injury undergoes wallerian degeneration.Some of you might be confused with the sentence "part of nerve not attached to the cell body".Cell body is the most proximal part of a nerve fibre and we know that wallerian degeneration occurs distal to the point of injury so it is obvious that wallerian degeneration will occur in part not attached to cell body.